Medical "Etiquette" is:
1. Conventional way of courtesy towards professional members
2. Courtesy towards client/patient
3. Courtesy towards female
4. Courtesy towards other members of society.

Correct answer: 1. Conventional way of courtesy towards professional members

Explanation: Conventional way of courtesy towards professional members